a 68 yr old male with h/o bladder carcinoma while travelling by flight complained of left leg pain and hemoptysis .pulse is 102 on enquiry he had h/o prior hospitalisation for pulmonary embolism he had undergone surgical procedure 3wks back what is clinical probability of thrombolic risk with wells scoring ?
1. wells scoring cannot be calculated
2. low risk acc. to wells score
3. moderate risk
4. high risk

Correct answer: 4. high risk

Explanation: FEATURES SCORE(POINTS) Signs and symptoms of DVT 3 No alternative diagnosis 3 Heart rate more than 100 Bpm 1.5 immobilization more than 3 days or surgery in previous 4 weeks 1.5 Previous DVT or PE 1.5 Hemoptysis 1 Malignancy with active treatment in the past 6 months or under palliative care 1 Pretest clinical Probability PE Unlikely = < 4 PE Likely > 4 PE = Pulmonary embolism DVT = Deep Vein Thrombosis ref : bailey and love 27th ed